Reye's syndrome is diagnosed by using _______ stain -
1. Reticulin stain
2. Oil-red-O stain
3. PAS stain
4. Mustein stain

Correct answer: 2. Oil-red-O stain

Explanation: Read following 2 facts :-

"Oil red O stain is used to stain fat".
"Characteristic histopathologic change in the cells in Rey's syndrome is fat accumulation. Glycogen is completely absent from the cells".

These changes are seen in the cells of liver, brain & kidneys. So after combining these 2 facts, you can easily get the answer.
Now something more about stains